Axonal transport is due to
1. Mitochondria
2. Microtubules
3. Intermediate filaments
4. All

Correct answer: 2. Microtubules

Explanation: Microtubules plays a role in axonal transport Forward -kinesin Reverse-dynein Ref:Guyton and Hall textbook of medical physiology 12th edition,page number:8,9,14